All are true about Hashimoto encephalopathy except -
1. Myoclonus
2. Seizures
3. Steroid responsive encephalopathy
4. EEG is normal

Correct answer: 4. EEG is normal

Explanation: Answer- D. EEG is normalElectroencephalographyNonspecific electroencephalographic (EEG) abnormalities are seen in 90 to 98 percent of patients, usually demonstrating nonspecific slowing of background activity.Hashimoto's encephalopathy is treated with steroids